Division of radial nerve occurs at which level.
1. Anterior part of medial epicondyle
2. Anterior part of lateral epicondyle
3. Posterior part of medial epicondyle
4. Posterior part of lateral epicondyle

Correct answer: 2. Anterior part of lateral epicondyle

Explanation: The radial nerve enters the cubital fossa from behind the arm by descending between brachioradialis and brachialis muscles.In front of the lateral epicondyle, it divides into 2 terminal branches -deep and superficialReference: Textbook of anatomy, Upper limb, and thorax, Vishram Singh, 2nd edition, page no.115